Which of the following aortic arches is known as pulmonary arch:
1. II
2. IV
3. V
4. VI

Correct answer: 4. VI

Explanation: The sixth aortic arch, also known as the pulmonary arch, gives off an important branch that grows toward the developing lung bud Ref: Langman's embryology 11th edition Chapter 12.